The major contribution to the semen from:
1. Testes
2. Seminal vesicles
3. Prostate
4. Bulbourethral and urethral glands

Correct answer: 2. Seminal vesicles

Explanation: Semen which is ejaculated during male sexual act is composed of fluid and sperm.

vasdeferens-10%
seminal vesicles-60%-mucoid consistency
prostate gland-30%-milky
so the bulk of semen is seminal vesicle fluid